All are features of MEN2B except?
1. Mucosal neuroma
2. Marfanoid Habitus
3. Medullated corneal nerve fibres
4. Meningioma

Correct answer: 4. Meningioma

Explanation: MEN2B Medullary Thyroid Cancer with pheochromocytoma and associated abnormalities: Mucosal neuroma Marfanoid Habitus Medullated corneal nerve fibres Megacolon